The drug inactivated in plasma by spontaneous non–enzymatic degradation is :
1. Atracurium
2. Vecuronium
3. Pipecuronium
4. Pancuronium

Correct answer: 1. Atracurium